Antiglaidin antibodies are seen in?
1. Tropica sprue
2. Whipple's disease
3. Celiac disease
4. Intestinal lymphoma

Correct answer: 3. Celiac disease

Explanation: Ans. is 'c' i.e., Celiac disease Diagnosis of Celiac disease* The definitive diagnosis is based on histopathologicalfindings which show :i) Villous atrophy and Crypt hyperplasia with decrease in villus : crypt ratio.ii) Loss of microvilli brush border.iii) Inflammatory cells are present in lamina propria : plasma cells, macrophages, lymphocytes, eosinophils and mast cells.iv) One of the characteristic feature is that overall mucosal thickness remains same (as villous atrophy is compensated by crypt hyperplasia).v) Mainly proximal intestine is involved.* Other characteristic diagnostic finding is symptom resolution on gluten free diet.* The most sensitive non-invasive serological tests are the presence of IgA antibodies to tissue transglutaminase or IgA/ IgG antibodies to deaminatedgliadin. Anti-endomysial antibodies are highly specific but less sensitive.